Example of Immune complex-mediated (type III) hypersensitivity is
1. Anaphylaxis
2. Autoimmune hemolytic anemia
3. Systemic lupus erythematosus
4. Type 1 diabetes

Correct answer: 3. Systemic lupus erythematosus

Explanation: TypeImmune MechanismsHistopathologic LesionsPrototypical DisordersImmune complex-mediated (type III)hypersensitivityDeposition of antigen-antibody complexes -complement activation - recruitment of leukocytesby complement products and Fc receptors -release of enzymes and other toxic moleculesInflammation, necrotizing vasculitis(fibrinoid necrosis)Systemic lupus erythematosus;some forms ofglomerulonephritis; serumsickness; Arthus reactionRef: Robbins and Cotran Pathologic Basis of Disease; 9th edition; Chapter 6; Diseases of the Immune System; Page no: 201; Table: 6-1